A translocation is called 'balanced' if?
1. Excess of genetic material is there
2. Deficient genetic material is there
3. There is no break in any chromosome
4. No loss or gain of genetic material occurs

Correct answer: 4. No loss or gain of genetic material occurs

Explanation: A translocation is called 'balanced' if: No loss or gain of genetic material occurs